Conditions associated with an increased risk of squamous cell carcinoma of the oesophagus include all of the following except -
1. Barrett's Oesophagus
2. Achalasia cardia
3. Smoking
4. Tylosis

Correct answer: 1. Barrett's Oesophagus

Explanation: Barret's esophagus predisposes to adenocarcinoma.